Common carotid artery divides at the level of
1. Hyoid bone
2. Cricoid cartilage
3. Superior border of thyroid cartilage
4. Inferior border of thyroid cartilage

Correct answer: 3. Superior border of thyroid cartilage

Explanation: Ans. is 'c' i.e. Superior border of thyroid cartilage Common carotid artery ends at the level of upper border of the thyroid cartilage by dividing into external & internal carotid arteries Also remember the following imp. levels * Sternal angle- costal cartilage of 2nd rib, T4/T5IV disc* Xiphoid process- T9* Tracheal bifurcation- T4/T5 IV disc* Trachea extends from- C6 to T5* Arch of aorta begins and ends at- T4* Aortic opening in diaphragm- T12* Esophageal opening in diaphragm- T10* Vena caval opening in diaphragm- T8* Thoracic duct crosses from Rt to Left- T5* Splenic axis- 10th rib* Celiac trunk arises- T12/L, IV disc* Superior mesenteric artery arises- LI* Renal arteries- L1/L2* Inferior mesenteric artery- L3* Aorta ends by bifurcating into common iliac arteries- L4* IVC begins at- L5* Umbilicus- L3/L4